Auditory processing of spoken language is done by?
1. Parietal lobe
2. Temporal lobe
3. Occipital lobe
4. Frontal lobe

Correct answer: 2. Temporal lobe

Explanation: Ans. is `b' i.e., Temporal lobe The left temporal lobe holds the primary auditory cortex, which is important for the processing of semantics in both speech and vision.